Dangerous area of eye-
1. Ciliary body
2. Optic nerve
3. Sclera
4. Choroid

Correct answer: 1. Ciliary body

Explanation: *wounds in the ciliary region are more prone to develop sympathetic Ophthalmitis. Ref: Khurana 7th/e p.455